All of the following drugs are used in prophylaxis of migraine, except:
1. Propanolol
2. Flunarizine
3. Tapiramate
4. Levetiracetam

Correct answer: 4. Levetiracetam

Explanation: Drugs approved by the FDA for migraine prophylaxis are propranolol, timolol, sodium valproate and methysergide. Other used drugs are amitriptyline, nortriptyline, verapamil, phenelzine, gabapentine and cyproheptadine. Ref: Harrisons 16th Edition, Page 93 (table 14-11)